TRUE regarding upper motor neuron VIIth nerve paralysis is -
1. Ipsilateral upper face paresis
2. Ipisilateral lower face paresis
3. Contralateral upper face paresis
4. Contralateral lower face paresis

Correct answer: 4. Contralateral lower face paresis